Regarding stapedial reflex which of the following is true:
1. It helps to enhance the sound conduction in middle ear
2. It is a protective reflex against loud sound
3. It helps in masking the sound waves
4. It is unilateral reflex

Correct answer: 2. It is a protective reflex against loud sound

Explanation: (b) It is a protective reflex against loud sound(Ref. Cummings, 6th ed., 2055)Whenever there is a loud sound 70-100dB above the hearing threshold of a person, the Stapedial reflex gets activated and protects the inner ear from noise trauma. It is a bilateral reflex.